In threatened abortion, the size of uterus:
1. Smaller than expected
2. Larger than expected
3. Corresponds to duration of amenorrhea
4. None of the above

Correct answer: 3. Corresponds to duration of amenorrhea

Explanation: c;Corresponds to duration of amenorrhea